Fallopian tube dysmotility is seen:
1. Noonan syndrome
2. Turner syndrome
3. Kartagener syndrome
4. Marfan syndrome

Correct answer: 3. Kartagener syndrome

Explanation: Ans. is c, i.e. Kartagener syndromeRef: Leon Speroff7th/ed, p239; zvww.emedicine.com* Primary ciliary dyskinesia (PCD), also known as immotile ciliary syndrome or Kartagener syndrome (KS), is a rare autosomal recessive genetic disorder in which there is a congenital absence of dynein arms (a protein structure associated with motility) in all body cilia.* It can lead to male factor infertility due to diminished sperm motility in males. As far as female infertility is concerned- patients with kartageners can conceive because motility of the cilia of fallopian tube is distorted and not totally absent.